All of the following are the actions of β–blockers in CHF except:
1. Decrease in mortality associated with CHF
2. Antagonism of vasoconstriction due to sympathetic overactivity
3. Prevention of pathological remodelling of ventricular myocardium
4. Prevention of dangerous cardiac arrhythmias

Correct answer: 2. Antagonism of vasoconstriction due to sympathetic overactivity

Explanation: Beta blockers may actually increase vasoconstriction by antagonizing the vasodilator action of β2 receptors.